Peripheral resistance is maximum in:
1. Aorta
2. Artery
3. Arteriole
4. Vein

Correct answer: 3. Arteriole